Rosenthal's syndrome is seen in deficiency of factor ?
1. II
2. V
3. IX
4. XI

Correct answer: 4. XI

Explanation: Ans. is 'd' i.e., XI